Skin lesion in meningococcal meningitidis is due to-
1. Exotoxin
2. Endotoxin
3. Allergic reaction
4. Direct vascular Damage

Correct answer: 2. Endotoxin